True about pneumococci is except:
1. Optochin S
2. Bile solubility
3. Inulin fermentation
4. Catalase positive

Correct answer: 4. Catalase positive

Explanation: Catalase positive